TATA box is seen in
1. Promoter region
2. Palindromic region
3. Enhancer region
4. Silencer region

Correct answer: 1. Promoter region

Explanation: TATA box (also called the Goldberg-Hogness box) is a DNA sequence (cis-regulatory element) found in the promoter region of genes in archaea and eukaryotes Ref-D.M.Vasudevan 7/e p558